Prevalence is a-
1. Rate
2. Ratio
3. Propotion
4. Mean

Correct answer: 3. Propotion

Explanation: Ans. is 'c' i.e., Proportion